Nucleus of basal ganglia -
1. Dentate
2. Thalamus
3. Caudate
4. Red nucleus

Correct answer: 3. Caudate

Explanation: Basal ganglia include following nuclei :- caudate nucleus, putamen, globus pallidus, subthalamic nucleus and substantia nigra.